A pregnant lady with aids complains of diahorrea and stool examination shows acid fast positive cysts. She has infection with:
1. Isospora
2. Giardia
3. Entameob a
4. Microspora

Correct answer: 1. Isospora

Explanation: Isospora